Which one of the following radioisotope is not used as permanent implant:
1. Iodine-125.
2. Palladium-103
3. Gold-198.
4. Caesium-137

Correct answer: 4. Caesium-137

Explanation: D i.e. Cesium - 137